Drug for premature ejaculation
1. Dapoxetine
2. Chlorpromazine
3. Citalopram
4. Escitalopram

Correct answer: 1. Dapoxetine

Explanation: Over the past one or two decades, clinical investigators have participated in an increasing number of studies that are helping in our understanding of Pre Mature Ejaculation, which will undoubtedly facilitate future treatments. Apart from a number of behavioral approaches, the treatment of PE consists of primarily off-label use of oral selective serotonin reuptake inhibitors (SSRIs) either on-demand or daily delivery. However, various undesirable side-effects of these medications have led researchers to search for and develop new therapeutic approaches for Pre Mature Ejaculation. Dapoxetine is a short-acting SSRI developed specifically for the treatment of Pre Mature Ejaculation. Early trials with dapoxetine have documented successful outcomes without serious short- or long-term side-effects. Ref: Dapoxetine, a novel SSRI for the treatment of pre mature ejaculation. Ther Clinc Risk Manag, 2007 Jun 3(2): 277-89.